Patient with pruritic lesion over Left shoulder showing cigarette paper atrophy and poikiloderma with generalized lymphadenopathy. Histopathology exmanination of lesion shows CD4 positive sezary leutzner cells. What is the dermo-epidermal manifestation of this disease?
1. Pautrier's micro abscess
2. Pin point ulcers
3. Discharging sinus
4. Miliaria

Correct answer: 1. Pautrier's micro abscess

Explanation: In mycosis fungoides is the commonest type of cutaneous T cell lymphoma. In the patch stage cigarette paper atrophy and poikiloderma are seen . There is lymphedenopathy and sezary cells ( abnormal lymphocytes with large convoluted nuclei ) circulating in blood. Histopathology shows collection of atypical lymphocytes( Pautriers micro abscesses ) in epidermis and band of lymphoid cells ( some atypical with convoluted nuclei) in the upper dermis. From illustrated synopsis of dermatology and sexually transmitted diseases neena khanna 5th edition page no 405, 406